Unstable angina:
1. CK-MB is elevated
2. Troponin I is elevated
3. Myoglobin is elevated
4. The levels of cardiac markers remain unchanged.

Correct answer: 4. The levels of cardiac markers remain unchanged.

Explanation: Ans-DThe levels of cardiac markers remain unchanged.Ref Chandrasoma Taylor 3rd/e p366, Harrison in 16th/e p 1437, 45 (15th/e p 1401)* The enzymes are released from the cells when necrosis or cell death occurs. Necrotic cells release their cytoplasmic contents in the blood. Unstable Angina necrosis of the cell does not occur so there is no elevation of serum enzymes.The differentiating feature between Angina and MI is the elevation of cardiac markers, (no elevation is seen in Angina)But there is one thing to note here that though instable angina, there is no elevation of cardiac markers, in unstable angina, about 1/3 of cases show rise of serum cardiac markers (especially the more sensitive ones such as Troponin- T, against the lesser sensitive CPK-MB)